A 10 year old child due to choked suddenly on consuming food . On the failed attempt of Valsalva's manoeuvre a needle cricothyrotomywas performed . It would open into which of the following regions?
1. Rima glottidis
2. Laryngeal vestibule
3. Laryngeal ventricle
4. Infraglottic cavity

Correct answer: 4. Infraglottic cavity

Explanation: Infraglottic cavity extends from rima glottidis to the lower border of the cricoid cartilage. The rima glottidis is the space between the vocal folds and arytenoid cartilages. Vestibule extends from the laryngeal inlet to the vestibular folds. Ventricle extends between vestibular fold and the vocal fold. Piriform recess is a pear-shaped fossa in wall of the laryngopharynx lateral to the arytenoid cartilage.